Carriers are important in all the following except
1. Measles
2. Typhoid
3. Polio
4. Diphtheria

Correct answer: 1. Measles